In adult Pulsatile proptosis seen in
1. A.V. fistula
2. Lateral sinus thrombosis
3. Orbital varies
4. Hemangioma

Correct answer: 1. A.V. fistula

Explanation: (A.V. fistula): (407-Khurana 5th edition; 551-Nema 6th/ed; 484-Parson 21st/ed)Causes of Pulsatile proptosis* Arterio - venous aneurysm (saccular aneurysm of ophthalmic artery)* Carotico- cavernous fistula (communication between ICA and cavernous)* Congenital meningocele or meningo encephaloele* Neurofibromatosis* Traumtic or operative hiatus* Embolization during arteriography is presently the treatment of choice* **Cavernous hemangiomaCapillary hemangioma* Most common benign tumour of the orbit in adult* Slowly progressive* Produces axial proptosis* Common ocular complications- Hyperopia- Optic nerve compression- Secondary glaucoma- Strabismus* Common tumour of childhood* Shows strawberry discolouration of the skin of eyelid* Usually involves the supreronasal quadrant of the orbit and medial part of upper lidCauses of PseudoproptosisHigh myopiaBuphthalmosRetraction of upperlid